In cellular event of acute inflammation all are seen except -
1. Compliment involved in chemotaxis
2. ICAM - adhesion of leukocytes
3. PECAM - Activation of leukocytes
4. Selectins - Margination & rolling

Correct answer: 3. PECAM - Activation of leukocytes

Explanation: . PECAM &; Activation of leukocytesExplanation :- PECAM 1 (platelet endothelial adhesion molecule) or CD31 &; involved in migration of leukocytes